Blood supply of liver
1. 80 % hepatic artery, 20 % portal vein
2. 20 % hepatic artery, 80 % portal vein
3. 50 % hepatic artery, 50 % portal vein
4. 100 % hepatic artery

Correct answer: 2. 20 % hepatic artery, 80 % portal vein

Explanation: The liver revives 20 % of blood supply through hepatic artery,80% through portal vein B D CHAURASIA'S HUMAN ANATOMY LOWER LIMB ABDOMEN PELVIS VOLUME2-SIXTH EDITION Page no-307